Snowball opacities are seen in -
1. Acute anterior uveitis
2. Posterior uveitis
3. Pars planitis
4. None

Correct answer: 3. Pars planitis

Explanation: Snowball or cotton ball opacities (Ant's eggs) refers to typical exudates present near the ora serrata on the inferior quadrant. It is the posterior segment sign in pars plannitis (intermediate uveitis).